Most common type of HPV associated with invasive cervical cancer is?
1. Type 6
2. Type 16
3. Type 31
4. Type 45

Correct answer: 2. Type 16

Explanation: Type 16 is the most common form of HPV found in invasive cancer and in CIN 2 and CIN 3; it is found in 47% of women with cancer.Only certain types of HPV cause high-grade intraepithelial lesions and cancer (HPV-16, -18, -31, -33, -35, -39, -45, -51, -52, -56, -58, -59, -68).Ref: Berek and Novak's Gynecology; 15th edition; Chapter 19